Birth length is double at the age of
1. 1 years
2. 2 years
3. 3 years
4. 4 years

Correct answer: 4. 4 years

Explanation: D. i.e. (4 years) (4 Ghai 6th) (6 - Ghai 7th)WeightLength or heightHead circumference*birth - about =3 kg*birth50 cm*Birth34 cm5 month(Doubles)6 kg1 years75 cm1 years45 cm1 years9 kg2years85 cm2years47 cm2 years12 kg3 years95 cm 3 years14 kg4 years(doubles)100 cm3 years49 cm4 years16 kg 4 years50 cm* A useful guide for normal range is target height + 7 cm for girls and target height + 8.5 cm for boys